Aromatase enzyme converts -
1. Estrogen to androgen
2. Androgen to estrogen
3. Progesterone to estrogen
4. Androgen to progesterone

Correct answer: 2. Androgen to estrogen

Explanation: Ans. is 'b' i.e., Androgen to estrogen o Aromatase conversts androgens into estrogen in peripheral tissues.